The structure that lies lateral to distal radial tubercle
1. Extensor pollicis longus
2. Extensor carpi radialis longus
3. Brachioradialis
4. Extensor carpi ulnaris

Correct answer: 2. Extensor carpi radialis longus

Explanation: The structure that lies lateral to distal radial tubercle are: Tendons of Extensor carpi radialis brevis and longus. Distal radial tubercle (Lister's tubercle) is located at the distal dorsal aspect of the radius It is a bony prominence that can be easily palpated. Function: It acts as a pulley for the Extensor Pollicis Longus tendon, changing it's mechanical direction of action.